Pleural plaques are best seen on?
1. CXR PA view
2. AP view
3. Oblique view
4. Lordotic view

Correct answer: 3. Oblique view

Explanation: Ans CNoncalcified pleural plaques are more difficult to appreciate radiographically. An increased sensitivity and awareness of pleural plaques and the use of oblique chest radiographs will increase the rate of detection.